Which of the following is the finding in functional defect in platelets -
1. Normal platelet counts and prolonged bleeding time
2. Normal platelet count and bleeding time
3. Prolonged bleeding time, prothrornbin time and PTT
4. Thrombocytopenia and prolonged bleeding time

Correct answer: 1. Normal platelet counts and prolonged bleeding time